Otosclerosis presents with?
1. Conductive deafness
2. Sensorineural deafness
3. Mixed hearing loss
4. Fluctuating hearing loss

Correct answer: 1. Conductive deafness

Explanation: Ans. (a) Conductive deafnessRef: Dhingra's 4th ed p-86, 400